Bile acid synthesis is autoregulated by the enzyme:
1. 7-Alpha hydroxylase
2. 11-alpha hydroxylase
3. Acetoacetyl-CoA thiolase
4. Desmosterol reductase reductase

Correct answer: 1. 7-Alpha hydroxylase

Explanation: 11-alpha hydroxylase Converts 11-deoxycortisol to 11-alpha cortisol (the 11-alpha isomer of hydrocortisone) Bile acid synthesis is autoregulated by 7-hydroxylase, the initial enzyme in cholesterol degradation Other enzymes are involved in cholesterol biosynthesis. Ref: Harrison, E-18, P-2462.